A patient is brought to the emergency as a case of head injury, following a head on collision road traffic accident. Patient is unconscious and his right pupil is dilated. CT scan is not available. Whats the next step in management
1. Cranlotomy left side
2. Craiotomy right side
3. Burrhole left side
4. Burrhole right side

Correct answer: 4. Burrhole right side

Explanation: Burrhole should be made at the side of dilated pupil.